In Niacin deficiency, all of the following are seen except:
1. Deafness
2. Diarrhea
3. Dementia
4. Dermatitis

Correct answer: 1. Deafness

Explanation: Ans. is 'a' i.e., Deafness o Niacin deficiency results in 'Pellagra'Pellagra is identified by the presence of three 'D's --> Diarrhea, Dementia, Dermatitis